Lipoma becomes malignant commonly at which site
1. Subcutaneous
2. Retro-peioneal
3. Sub-aponeurotic
4. Intermuscular

Correct answer: 2. Retro-peioneal

Explanation: Ans. is 'b' i.e., Retro- peritoneal